Jitteriness can be distinguished from seizures by all of the following except –
1. Sensitivity to stimulus
2. Frequency of movement
3. Abnormality of Gaze
4. Autonomic disturbance

Correct answer: 2. Frequency of movement